Which of the following procedure uses a trans-vesical approach in the surgical removal of prostate?
1. TURP
2. Millin prostectomy
3. Frayer prostectomy
4. Young's prostectomy

Correct answer: 3. Frayer prostectomy

Explanation: Frayer's suprapubic prostectomy uses the transvesical approach to remove the prostate gland It is preferred for patients having bladder stone, bladder diverticulum TURP (Trans Urethral Resection of prostate) uses a transurethral approach. Millin's retropubic prostectomy uses a retropubic approach. Young's Perineal Prostectomy uses a perineal approach.